Treatment of choice for stage 4S neuroblastoma is
1. Observation
2. Surgery
3. Chemotherapy
4. Radiotherapy

Correct answer: 1. Observation

Explanation: The usual treatment for children with low-risk neuroblastoma is surgery for stages 1 and 2 Observation for stage 4S with cure rates generally >90% without further therapy. Treatment with chemotherapy or radiation for the rare child with local recurrence can still be curative. Reference: Nelson; Neuroblastoma; Page no: 2463